Cross sectional study is associated with:
1. Indicates prevalence
2. Incidence
3. Positive predictive value
4. Relative risk

Correct answer: 1. Indicates prevalence

Explanation: Ans. (a) Indicates prevalenceRef : K. Park 23rd ed. / 75-77Cross sectional study is the simplest form of observational epidemiological study which is based on single examination of a cross section of a population at one point of time, results of sample are then projected to the whole populationAdvantages* Provides prevalence of a disease* Provides a whole picture of population at one point of time* More useful for chronic diseaseDisadvantages* Tells about distribution of a disease rather than the etiology* Establishment of time sequence of a disease is not possible* Provides little information of a natural history and incidence of a disease